Peptic ulcer is caused by
1. H. pylori
2. Campylobacter jejuni
3. Pneumocystis carinii
4. Crypto sporidium

Correct answer: 1. H. pylori

Explanation: A. i.e. (H. pylori) (594 - Basic pathology 8th)PEPTIC ULCER - two conditions are key for the development of peptic ulcers1. H. pylori infection(i) 70 - 90% persons with duodenal ulcer(ii) 70% persons with gastric ulcers2. Mucosal exposure to gastric acid and pepsin* NSAIDs are the major cause of peptic ulcer disease in persons who do not have H. pylori infection